Metoprolol is preferred over Propranolol as it:
1. Is more potent in blocking beta-1 receptors
2. Is more potent in blocking beta-2 receptors
3. Is more effective in suppressing essential tremors
4. Impairs exercise capacity

Correct answer: 1. Is more potent in blocking beta-1 receptors

Explanation: Ans. A: Is more potent in blocking beta-1 receptors Metoprolol is cardioselective beta blocker, more potent in blocking beta-1 than beta-2 adrenergic receptors.